Nitroblue tetrazolium test is used for-
1. Phagocytes
2. Complement
3. T cell
4. B cell

Correct answer: 1. Phagocytes

Explanation: This test is done to screen for chronic granulomatous disease. This disorder is passed down in families. In people who have this disease, certain immune cells do not help protect the body from infections. People who have frequent infections in the bones, skin, joints, lungs, and other parts of the body may have this test donThe chemical NBT is added to the white blood cells in the lab. The cells are then examined under a microscope to see if the chemical has made them turn blue.